Secular trend is best demonstrated by
1. Line diagram
2. Bar graph
3. Stem leaf plot
4. Box and whisker plot

Correct answer: 1. Line diagram

Explanation: Ref:Park's Textbook of Preventive and Social Medicine 25th Ed